Inhibition of 5–lipoxygenase is useful in :
1. Cardiac failure
2. Bronchial asthma
3. Hepatic failure
4. Arthritis

Correct answer: 2. Bronchial asthma

Explanation: Leukotrienes are potent bronchoconstricting agents. These agents play a major role in the pathogenesis of bronchial asthma. The drugs acting by inhibiting their synthesis (i.e. lipoxygenase inhibitors) or action (Cys-LT receptor antagonists) are useful in the prophylaxis of bronchial asthma.